Commonest helminth infection in AIDS is -
1. Trichuris trichiura
2. Strongyloides stercoralis
3. Enterobius vermicularis
4. Necator americanus

Correct answer: 2. Strongyloides stercoralis